Primary & secondary markings over metal bullet help in?
1. Identification of weapon
2. Identification of wound
3. Identification of person
4. Severity of tissue damage

Correct answer: 1. Identification of weapon

Explanation: Ans. is 'a' i.e., Identification of weapon o Primary markings (class characteristics) and secondary markings (metallic fouling, individual or accidental characteristics) on a bullet can be used for identification of weapon.